Whip-lash injuries is caused due to
1. A fall from a height
2. A blow on top to head
3. Acute hyperflexion of the spine
4. Acute hyperextension of the spine

Correct answer: 4. Acute hyperextension of the spine

Explanation: This injury occurs due to rear end automobile collision. The body of victim is accelerated by the impact force but the head is left behind. Sudden hyperextension followed by sudden hyperflexion occurs. It is mentioned that in mild forms only subtle hyperextension injuries are found in X Ray. So hyperextension being the primary injury is most important answer. Ref: Krishan Vij textbook of forensic medicine, 5th edition pg : 287